The minor connector Leaves the major connector:
1. gradually
2. abruptly
3. covering large area
4. without any relief

Correct answer: 2. abruptly